Which of the following drug is a selective COX-2 inhibitor?
1. Ketorolac
2. Etoricoxib
3. Piroxicam
4. Nimesulide

Correct answer: 2. Etoricoxib

Explanation: (Ref: Katzung 14th ed. P 323, 647)Non-steroidal anti-inflammatory drugs classificationSelective COX-2 Inhibitor (Coxibs)Non-selective COX-1 and 2 inhibitor* Celecoxib* Etoricoxib* Valdecoxib* Rofecoxib* Parecoxib* Indomethacin* Ibuprofen* Naproxen* Piroxicam* Aspirin* Ketoprofen